A five-year-old boy presents with precocious puberty and blood pressure of 130/80 mmHg Estimation of which of the following will help in diagnosis –
1. ↑17 hydroxy-progesterone
2. ↑ Cortisol
3. ↑Aldosterone
4. ↑ 11 deoxycortisol

Correct answer: 4. ↑ 11 deoxycortisol

Explanation: At the age of 5-6 years, BP in excess of 115/75 mm Hg is considered as hypertension (This boy has BP 130/80).
So, the boy in this question has : -


Precocious puberty
Hypertension


Precocious puberty in male, with salt retention and hypertension, occurs due to deficiency of 11-β Hydroxylase which catalyzes the conversion of 11 deoxycortisol to cortisol.